Which one of the following variants of papillary carcinoma thyroid occurs in younger individuals including children with lymphonodal metastases in almost all cases and morphologically simulates Hashimoto thyroiditis is:
1. Tall-cell variant
2. Follicular variant
3. Diffuse sclerosing variant
4. Oncocyticvarient

Correct answer: 3. Diffuse sclerosing variant

Explanation: Ans. (c) Diffuse sclerosing variant(Ref: Robbins 9th/pg 1097-1098)Diffuse sclerosing variant of papillary carcinoma*It occurs in younger individuals, including children.*The tumor has a prominent papillary growth pattern intermixed with solid areas containing nests of squamous metaplasia.*There is extensive, diffuse fibrosis throughout the thyroid gland, often associated with a prominent lymphocytic infiltrate, simulating Hashimoto thyroiditis.*Lymph node metastases are present in almost all cases.*Diffuse sclerosing variant carcinomas lack BRAF mutations, but RET/PTC translocations are found in approximately half the cases.